Which is not a feature of pseudocyesis?
1. Amenorrhoea
2. Abdominal distension
3. Fetal heart sounds are audible
4. None of the above

Correct answer: 3. Fetal heart sounds are audible

Explanation: The psychological situation leads the patient to believe that she is pregnant when she is actually not.Usually, there is a background of amenorrhea and a feeling of distention of abdomen Intestinal motility is confused with fetal movements(refer to pgno:92 Sheila 2nd edition)